Single gene disorder
1. Duchenne muscle dystrophy
2. Down syndrome
3. Turner syndrome
4. Klinefelter syndrome

Correct answer: 1. Duchenne muscle dystrophy

Explanation: (A) Duchenne muscle dystrophy MENDELIAN DISORDERS/SINGLE GENE DISORDERSAutosomal DominantAutosomal RecessiveX-linked RecessiveX-linked DominantFAP of colonAchondroplasiaAcute intermittent porphyriaHyperlipoproteinemia1.2,3,4HemorrhagicHSHuntington's dsMarfan's syndromeNeurofibromatosisOsteogenesis imperfectaPolydactylyvWDRetinoblastomaPeutz Zeghers syndromeOsteosclerosisMost inborn error of metabolism e.g.AlbinismAlkaptonuriaAgammaglobulinemia(Swiss type)Cystic fibrosisMaple Syrup Urine dsHemochromatosisWilson's dsPKULysosomal storage dsGlycogenesis, Gaucher's ds., PK deficiency21-Hydoxylase def,CAHb-thalessemiaSickle cell anemiaHirschsprung's diseaseHemophiliaColor blindnessG-6-PD def.(incompletely dominant (expression)DICGDAgammaglobulinemia (Bruton's)Duchenne's and Becker'sMuscle dystrophyRPHydrocephalusOrnithine transcarbamylase deficiencyVit-D resistant/ hypophosphatemicRicketsAlport syndromeFamilialHypophosphatemiaBlood group XgIncontinentia PigmentiFabry's DS